All of the following statements about Paneth cells are true, EXCEPT:
1. Rich in Zinc
2. Contain Lysozyme
3. Foamy appearance
4. Rich in Rough Endoplasmic Reticulum

Correct answer: 3. Foamy appearance

Explanation: Paneth cells are granulated secretory epithelial cells present in the crypt base of small intestinal epithelium. It contains lysozyme, is rich in zinc and rough endoplasmic reticulum.